Following are precursors of endometrial carcinoma except :
1. Atypical adenomatous hyperplasia
2. Atrophic endometrium
3. Adenocarcinoma in situ
4. Cystic hyperplasia

Correct answer: 2. Atrophic endometrium

Explanation: Endometrial atrophy is the most common cause of post menopausal bleeding Reference :Textbook of Gynaecology; Sheila balakrishnan; 2nd edition; Pg no:245